Seen in rickets A/E –a) Cupping of metaphysicb) Defective Mineralizationc) Epiphyseal dysgenesisd) Defective osteoid formation
1. ab
2. cd
3. bd
4. ac

Correct answer: 2. cd

Explanation: In rickets osteoid (protein matrix) is formed normally but mineralization of this osteoid does not occur i.e. there is defective mineralization.

Pathophysiology of rickets 
1)   Normal anatomy and physiology of mineralization

Normal growing bone has following regions (moving from end to centre) -